Most common site of volvulus:
1. Sigmoid colon
2. Caecum
3. Transverse colon
4. Stomach

Correct answer: 1. Sigmoid colon

Explanation: Most common site of volvulus is Sigmoid colon.